Which of the following is the role of coenzyme Q (ubiquinone) in the respiratory chain?
1. It links flavoproteins to cytochrome b, the cytochrome of lowest redox potential
2. It links NAD-dependerit dehydrogenases to cytochrome b
3. It links each of the cytochromes in the respiratory chain to one another
4. It is the first step in the respiratory chain

Correct answer: 1. It links flavoproteins to cytochrome b, the cytochrome of lowest redox potential

Explanation: Coenzyme Q collects reducing equivalents from flavoprotein complexes and passes them along the chain to the cytochromes. Reducing equivalents from a number of substrates are passed through coenzyme Q in the respiratory chain.